Shortest acting synthetic opioid is
1. Fentanyl
2. Remifentanil
3. Alfentanil
4. Sufentanil

Correct answer: 2. Remifentanil

Explanation: .Remifentanil is a potent, short-acting synthetic opioid analgesic drug. It is given to patients during surgery to relieve pain and as an adjunct to an anaesthetic. Remifentanil is used for sedation as well as combined with other medications for use in general anesthesia Ref Robbins 9/e pg 345